Nerve depolarization is due to
1. Opening of sodium channels
2. Opening of chloride channels
3. Opening of potassium channels
4. Opening of calcium channels

Correct answer: 1. Opening of sodium channels

Explanation: When sodium ion enters a cell the potential goes positive side and this is depolarization phase. (REF: TEXTBOOK OF MEDICAL PHYSIOLOGY GEETHA N 2 EDITION, PAGE NO - 26)